The Gram negative bacteria most numerous in oral cavity are
1. Streptococci
2. Veillonellae
3. Selenomous
4. Eikenella

Correct answer: 2. Veillonellae